Which of the following areas of brain is most resistant to Neurofibrillary tangles in Aizeimer's disease -
1. Entorhinal cortex
2. Hippocampus / Temporal lobe
3. Lateral Geniculate Body
4. Visual Association Area

Correct answer: 3. Lateral Geniculate Body

Explanation: The lateral geniculate nucleus (LGN; also called the lateral geniculate body or lateral geniculate complex) is a relay center in the thalamus for the visual pathway. It receives a major sensory input from the retina. The LGN is the main central connection for the optic nerve to the occipital lobe, particularly the primary visual cortex. In humans, each LGN has six layers of neurons (grey matter) alternating with optic fibers (white matter And is resistant to neurofibrillary tangles Ref Harrison20th edition pg 2345